Entracellular binding site on Na+ - K+ pump is
1. Na+
2. ATP
3. PO4
4. Ouabain

Correct answer: 4. Ouabain

Explanation: D i.e. Ouabain